Most common cause of Air bronchogram
1. Pulmonary edema
2. Consolidation
3. Hyaline membrane disease
4. Alveolar cell carcinoma

Correct answer: 2. Consolidation

Explanation: All the above are causes of AIr bronchogram.
M/C cause is consolidation.